In Budd Chiari syndrome, the site of venous thrombosis is :
1. Infrahepatic inferior vena cava
2. Infrarenal inferior vena cava
3. Hepatic veins
4. Portal veins

Correct answer: 3. Hepatic veins

Explanation: Answer is C (Hepatic vein): Budd chiari syndrome is characterized by post sinusoidal obstruction outside the liver at the level of hepatic veins